Not associated with thymoma is
1. Red cell aplasia
2. Myasthenia gravis
3. Hypergammaglobulinemia
4. Compression of the mediastinum

Correct answer: 3. Hypergammaglobulinemia

Explanation: Hypogammaglobulinemia is seen in thymoma not Hypergammaglobulinemia . ref harrisons internal medicine 20e p2496 , 729 ,3232, 3237